Eustachian tube opens into middle ear cavity at:
1. Anterior wall
2. Medial wall
3. Lateral wall
4. Posterior wall

Correct answer: 1. Anterior wall

Explanation: The tympanic end of the eustachian tube is bony and is situated in the anterior wall of middle ear.The pharyngeal end of the tube is slit like and is situated in the lateral wall of the nasopharynx, 1-1.25 cm behind the posterior end of inferior tubinate.